Effects mediated by H1 histamine receptor include
1. Inhibition of gastric acid secretion
2. Induction of hepatic cytochrome P450 enzyme
3. Maintaince of a wakeful state
4. Vasoconstriction of arterioles

Correct answer: 3. Maintaince of a wakeful state

Explanation: The H1 receptor is a histamine receptorbelonging to the family of rhodopsin-like G-protein-coupled receptors.This receptor is activated by the biogenic amine histamine. It is expressed in smooth muscles, on vascular endothelial cells, in the heart, and in the central nervous system. Refer kDT 7/162